Mycosis fungoides which is not true -
1. It is the most common form of cutaneous lymphoma
2. Pautriers microabscess
3. indolent course and good prognosis, easily amenable to treatment
4. Erythroderma seen and spreads to peripheral circulation

Correct answer: 3. indolent course and good prognosis, easily amenable to treatment

Explanation: Mycosis fungoides(MF) is the commonest form of cutaneous T cell lymphoma. Histopathology shows collection of atypical lymphocytes(Pautriers microabscesses) in epidermis (a feature of epidedmotropism) . Treatment becomes difficult with poor response as the stage increases that is in tumour stage the response to treatment is poor. From illustrated synopsis of dermatology and sexually transmitted diseases neena khanna 5th edition page and no 405,406